Which of the following is not true of spasmodic croup?
1. History of fever is present
2. Cough is metallic
3. Larynx is pale and edematous
4. Occurs mostly at night

Correct answer: 1. History of fever is present

Explanation: Spasmodic croup : It occurs in children between 1-3 years of age. There maynot be preceeding coryza. The child wakes up in the early hours of morning with brassy cough and noisy breathing. The symptoms improve in few hours. Humidification of the room in which child is nursed is all that is necessary Ref : ESSENTIAL PEDIATRICS,O.P.GHAI, PG NO:351,7th edition